Minimum duration of developing coal miners pneumoconiosis is -
1. 2-4 years
2. 4-6 years
3. 8-10 years
4. More than 10 years

Correct answer: 4. More than 10 years

Explanation: - The coal miners pneumoconiosis has two phases; first phase is simple pneumoconiosis which is associated with little ventilatory impairment. - this phase may require about 12 years of work exposure for its development. - second phase is characterized by progressive massive fibrosis Reference: Park's textbook of preventive and social medicine, 23rd edition, pg no:806